Which one of the following is a metric dental feature?
1. Shovelling
2. Caravelli's trait
3. Mandibular molar groove pattern
4. Root length of maxillary canine

Correct answer: 4. Root length of maxillary canine